Titration of the dose of a drug with the response can be done with which of the following routes of administration:
1. Sublingual
2. Transdermal
3. Inhalational
4. Subcutaneous

Correct answer: 3. Inhalational

Explanation: - Titration of drug dosage can be done only with the inhalational route of administration among the given options.